Which is the only phacomatosis to be inherited on an autosomal recessive basis:
1. Ataxia-telangiectasia
2. Sturge-Weber syndrome
3. von Hippel lindau syndrome
4. Neurofibromatosis

Correct answer: 1. Ataxia-telangiectasia

Explanation: Ans. Ataxia-telangiectasia